Prolactin is synthesized in -
1. Pituitary
2. Hypothalamus
3. Pineal gland
4. Thalamus

Correct answer: 1. Pituitary

Explanation: Ans. is 'a' i.e., Pituitary